Among the following options Truncus arteriosus is most
commonly associated with
1. Turner's syndrome
2. Digeorge Syndrome
3. Klinefilter's syndrome
4. Down's syndrome

Correct answer: 2. Digeorge Syndrome

Explanation: Truncus arteriosus is commonly associated with Digeorge Syndrome.